The following are indications for postoperative radiotherapy in a case of carcinoma endometrium except:
1. Myometrial invasion of more than half thickness
2. Positive lymph nodes
3. Endocervical involvement
4. Tumor positive for estrogen receptors

Correct answer: 4. Tumor positive for estrogen receptors